bisferens pulse is seen in all except ?
1. AS+ AR
2. AR
3. HYPERTROPHIC CARDIOMYOPATHY
4. TOF

Correct answer: 4. TOF

Explanation: Pulsus Bisferiens It is single pulse wave with two peaks in systole * d/t ejection of rapid jet of blood through aortic valve * Best felt in brachial and femoral artery * AS + AR * Severe AR * HOCM(Hypertrophic obstructive cardiomyopathy) . REF : harrisons 21st ed